Eukaryotic plasm membrane is made up of all except:
1. Carbohydrates
2. Triglycerides
3. Lecithin
4. Cholesterol

Correct answer: 2. Triglycerides

Explanation: Ans. B i.e. Triglycerides